"Ghon focus" is associated with
1. Gonorrhea
2. Syphilis
3. AIDS
4. Tuberculosis

Correct answer: 4. Tuberculosis